Dangerous area of face ?
1. Upper lip middle 1/3"
2. Lower lip middle 1/3rd
3. Lower lip lateral part
4. Periorbital area

Correct answer: 1. Upper lip middle 1/3"

Explanation: Ans. is 'a' i.e., Upper lip middle 1/3''